Most common characteristic of heat rupture:
1. Irregular margin
2. Smooth and well defined margin
3. Clot in wound
4. Vessels rupture

Correct answer: 1. Irregular margin

Explanation: Irregular margin